Which is the afferent pathway for light pupillary reflex?
1. Trigeminal nerve
2. Optic nerve
3. Abducent nerve
4. Ciliary nerve

Correct answer: 2. Optic nerve

Explanation: (B) Optic nerve # Ophthalmic nerve (V^ a branch of Trigeminal nerve carries sensory information from the scalp and forehead, the upper eyelid, the conjunctiva and cornea of the eye, the nose (including the tip of the nose, except alae nasi), the nasal mucosa, the frontal sinuses, and parts of the meninges (the dura and blood vessels. Optic nerve, or more precisely, the photosensitive ganglion ceils through the retinohypothalamic tract, is responsible for the afferent limb of the pupillary reflex - it senses the incoming light. Abducent nerve supplies lateral rectus. The short ciliary nerve contains parasympathetic and sympathetic nerve fibers. The parasympathetics arise from the Edinger-Westphal nucleus and synapse in the ciliary ganglion via the oculomotor nerve(oculomotor nerve), the postganglionic parasympathetics leave the ciliary ganglion in the short ciliary nerve and supply the ciliary body and iris. Sympathetics are provided by the superior cervical ganglion and they reach the ganglion either as branches of the nasociliary nerve or directly from the extension of the plexus on the ophthalmic artery (sympathetic branch to ciliary ganglion). Damage to the short ciliary nerve may result in loss of the pupillary light reflex, or mydriasis